Cause of persistance of a sinus or fistulae includes?
1. Foreign body
2. Non dependentt drainage
3. Unrelieved Obstruction
4. All of the above

Correct answer: 4. All of the above

Explanation: Ans. is `d' i.e., All of the above